Ritgen maneuver is done in
1. Shoulder dystocia
2. For delivery of head in breech presentation
3. For delivery of legs in breech
4. For delivery of head in normal labour

Correct answer: 4. For delivery of head in normal labour

Explanation: Ritgen manuever is done for delivery of head in normal labor to allow controlled delivery of head. When the head distends the vulva and perineum enough to open the vaginal introitus to a diameter of 5cn of more , a towel is drapled ,gloved hand may be used to exert forward pressure on the chin of fetus through the perineum just in front of coccyx. Concurrently the other hand exerts pressure superiorly against occiput. This favours nect extension so that the head is delivered with its smallest diameter passing through the introitus and over perineum